The covering for the testis that is derived from peritoneum is which of the following?
1. Tunica albuginea
2. External spermatic fascia
3. Internal spermatic fascia
4. Tunica vaginalis

Correct answer: 4. Tunica vaginalis

Explanation: The tunica vaginalis is derived from peritoneum and has both visceral and parietal layers.